Antidepressant drug that can cause neuroleptic malignant syndrome and tardive dyskinesia is:
1. Amineptin
2. Carbamazepine
3. Amoxapine
4. Trazodone

Correct answer: 3. Amoxapine

Explanation: Ans. C: AmoxapineOne of major metabolites of amoxapine, 7-hydroxyamoxapine, has a dopamine receptor blocking effect, making this drug a common cause of neuroleptic malignant syndrome.Amoxapine is also associated with acute extrapyramidal symptoms and tardive dyskinesia.